The normal resting heart rate for a newborn is _________
1. 75-115bpm
2. 85-125bpm
3. 110-150bpm
4. 140-200bpm

Correct answer: 3. 110-150bpm

Explanation: Normal Results : For resting heart rate: Newborns 0 to 1 month old: 70 to 190 beats per minute. Infants 1 to 11 months old: 80 to 160 beats per minute. Children 1 to 2 years old: 80 to 130 beats per minute. Reference: GHAI Essential pediatrics, 8th edition